All of the following are true of febrile seizures except –
1. Most commonly seen between 9 months and 5 years
2. Does not last more than 10 minutes
3. Almost invariably develop into epilepsy
4. Prognosis is good

Correct answer: 3. Almost invariably develop into epilepsy